Which of the following is true about Pseudodementia?
1. A form of cortical dementia
2. Seen in patients with depression
3. A form of subcortical dementia
4. Dementia secondary to organic condition

Correct answer: 2. Seen in patients with depression

Explanation: Ans. B. Seen in patients with depressionPseudodementia is a syndrome seen in older people in which they exhibit symptoms consistent with dementia, but the cause is actually depression.Older people with predominantly cognitive symptoms such as loss of memory, and vagueness, as well as prominent slowing of movement and reduced or slowed speech, were sometimes misdiagnosed as having dementia when further investigation showed they were suffering from a major depressive episode This was an important distinction as the former was untreatable and progressive and the latter treatable with antidepressant therapy, electroconvulsive therapy, or both. In contrast to major depression, dementia is a progressive neurodegenerative syndrome involving a pervasive impairment of higher cortical functions resulting from widespread brain pathology.